Corticosteroid with maximum sodium retaining potential?
1. Dexamethasone
2. Prednisolone
3. Aldosterone
4. Betamethasone

Correct answer: 3. Aldosterone

Explanation: Ans. is 'c' i.e., Aldosterone o Aldosterone has maximum mineralocorticoid activity, i.e. salt (sodium) retaining activity.